Which of the following is not a cognitive error/dysfunction:
1. Catastrophic thinking
2. Arbitrary inference
3. Overgeneralization
4. Thought block

Correct answer: 4. Thought block

Explanation: D i.e. Thought blockThought block is an abnormality in continuity not in logic of thought in which the patient experiences a break in flow of thought through his mind. Thought block is not a cognitive erroi42